A chloride level of--is said to be acceptable by WHO:
1. 0.2 mg/L
2. 0.5 mg/L
3. 45 mg/L
4. 200 mg/L

Correct answer: 4. 200 mg/L

Explanation: 200 mg/L